A 27 year old male Is is Incidentally HBsAg positive. DNA-PCR for hepatitis B revealed 1000 copies/ml. The patient is suffering from?
1. Active HBV carrier
2. Acute hepatitis B
3. Chronic hepatitis B
4. Inactive HBV carrier

Correct answer: 4. Inactive HBV carrier

Explanation: The second subset is called the 'inactive HBsAg carrier state'. It means a persistent HBV infection of the liver but without continual significant necroinflammatory disease Ref Davidson edition23rd pg 889